Illusion is a disorder of-
1. Thought
2. Perception
3. Memory
4. Intelligence

Correct answer: 2. Perception

Explanation: Ans. is 'b' i.e., Perception Disorders of perceptiono Altered perception:- Sensory distortion (micropsia, hyperacusis), Illusiono False perception:- Hallucination.Thought disordersFormal thought disorders (Disorders of thought process)Disorders of thought contenti) Racing thoughts:- Anxiety, Schizophreniaii) Retarded thoughts:- Depressioniii) Circumstantiality:- Mania, Schizophreniaiv) Thought blocking Schizophrenia, Severe anxietyv) Perseveration:- Organic brain disease, Schizophrenia (occasionally)vi) Loosening of association:- Schizophreniavii) Flight of ideas:- Maniaviii) Tangentialityix) Clunging & punning:- Mania & schizophreniax) Neologism, word salad, Echolalia:- Schizophreniai) Delusion:- Psychosis (Schizophrenia, mania, depression & othersii) Obsessioniii) Compulsioniv) Preoccupationsv) Phobiasvi) Depersonalization & Derealizationo In schizophrenia and mood disorders (depression, mania) all parts of the thought (thought process as well as content) are involved.o However, schizophrenia is conventionally referred as formal thought disorder.